Most common cause of surgical wound infection is:
1. Staph aureus
2. Streptococcus
3. Pseudomonas
4. Anaerobes

Correct answer: 1. Staph aureus

Explanation: Ans: aRef: Harrison, 16thed, p. 778